Which of the following leukemia almost never develops after radiation?
1. Acute myeloblastic leukemia
2. Chronic myeloid leukemia
3. Acute lymphoblastic leukemia
4. Chronic lymphocytic leukemia

Correct answer: 4. Chronic lymphocytic leukemia

Explanation: Ref: Robbin's Pathology, 9th ed. pg. 324-325Cancers associated with radiation:* ALL, AML, CML* Thyroid cancer* Breast cancer* Lung cancer* Bladder, ovarian cancerCancers not seen with radiation:* CLL* Hodgkin's lymphoma* Prostate cancer, testis cancer and cervical cancer